First liver transplant was done by -
1. Starzl
2. Yuri Voroniy
3. Claudius Galen
4. Gerhardt Kuntscher

Correct answer: 1. Starzl

Explanation: Ans. is 'a' i.e., Starzl o The first human liver transplant was performed in 1963 by a surgical team led by Dr. Thomas Starzl of Denver, Colorado, United States. Dr. Starzl performed several additional transplants over the next few years before the first short-term success was achieved in 1967 with the first one-year survival post transplantation.